In a patient of acute cholecystitis, referred pain to the shoulder is k/a
1. Murphy's sign
2. Gray Turner sign
3. Boa's sign
4. Cullen's sign

Correct answer: 3. Boa's sign

Explanation: Boa's sign is the area of hyperaesthesia between 9th and 11th ribs posteriorly on the right side,i.e.,below the right scapula,sign of acute cholecystitis. Murphy's sign is right upper quadrant tenderness that is exacerbated during inspiration by the examiner's right subcostal palpation.It's also a sign of acute cholecystitis. Grey turner sign is the skin discolouration in the left flank in cases of acute hemorrhagic pancreatitis. Cullen's sign is the discolouration of umbilicus and surrounding skin(umbilical black eye).It's due to hemoperitoneum & seen in conditions like ruptured ectopic pregnancy,acute hemorrhagic pancreatitis. Reference:SRB's manual of surgery,5th edition,page no:644;Bailey & Love's manual of surgery,25th edition,page no:1121.